Crohn's disease affects
1. Stomach
2. Ileum
3. Colon
4. All of the above

Correct answer: 4. All of the above

Explanation: Ans. d (All of the above). (Ref. Bailey & Love, Surgery, 25th/pg. 1173; Sabiston 18th ed. Table 48-5) CROHN'S COLITISULCERATIVE COLITISSymptoms and SignsDiarrheaCommonCommonRectal bleedingLess commonAlmost alwaysAbdominal pain (cramps)Moderate to severeMild to moderatePalpable massAt timesNo (unless large cancer)Anal complaintsFrequent (>50%)Infrequent (<20%)Radiologic FindingsIleal diseaseCommonRare (backwash ileitis)Nodularity, fuzzinessNoYesDistributionSkip areasRectum extending upward and continuouslyUlcersLinear, cobblestone, fissuresCollar-buttonToxic dilationRareUncommonProctoscopic FindingsAnal fissure, fistula, abscessCommonRareRectal sparingCommon (50%)Rare (5%)Granular mucosaNoYesUlcerationLinear, deep, scatteredSuperficial, universalDifferences between UC and CD-UC affects the colon; CD can affect any part of the Gl tract, but particularly the small and large bowel-UC is a mucosal disease whereas CD affects the full thickness of the bowel wal-UC produces confluent disease in the colon and rectum whereas CD is characterised by skip lesions-CD more commonly causes stricturing and fistulation-Granulomas may be found on histology in CD but not in UC-CD is often associated with perianal disease whereas this is unusual in UC-CD affecting the terminal ileum may produce symptoms mimicking appendicitis, but this does not occur in UC-Resection of the colon and rectum cures the patient with UC, whereas recurrence is common after resection in CD.